The classic triad of brucellosis include all, except
1. Fever with profuse night sweats
2. Meningoencephalitis
3. Arthralgia
4. Hepatosplenomegaly

Correct answer: 2. Meningoencephalitis

Explanation: Though the manifestations of the disease vary, the classic triad of fever with profuse night sweats , arthralgia/arthritis and hepatosplenomegaly are present in most patients